Cavity conditioning in ART is done by
1. Cocoa Butter
2. Petroleum Jelly
3. 37% Phosphoric Acid
4. 10% Polyacrylic Acid

Correct answer: 4. 10% Polyacrylic Acid